Most common site a spontaneous rupture of esophagus is
1. Cricopharyngeal junction
2. Cardioesophageal junction
3. Mid esophagus
4. After the crossing of arch of aorta

Correct answer: 2. Cardioesophageal junction

Explanation: MC site: left posterolateral side of the distal esophagus